A patient presents with history of mild diarrhea, blood in stools with multiple fistulas. What is the most probable diagnosis:
1. Intestinal tuberculosis
2. Ulcerative colitis
3. Crohn's disease
4. Typhoid

Correct answer: 3. Crohn's disease

Explanation: Ans. C: Crohn's disease